In delirium tremens all are true, except:
1. Gross tremor
2. Seen in alcoholic withdrawl
3. Fits may occur
4. Orientation clear

Correct answer: 4. Orientation clear

Explanation: Orientation clear